Which of the following is the best determinant of adequacy of alveolar ventilation?
1. Arterial pO2 level
2. Arterial pCO2 level
3. Minute ventilation
4. Presence of cyanosis

Correct answer: 2. Arterial pCO2 level

Explanation: Atrial pco2 content determines the alveolar ventilation Ref: guyton and hall textbook of medical physiology 12 edition page number:331,332,333